Prophylaxis of is essential to prevent which vitamin deficiency in patients taking isoniazid?
1. B1
2. B2
3. B3
4. B6

Correct answer: 4. B6

Explanation: Ans. is 'd' i.e., B6 * Isoniazid reacts with pyridoxal to form a hydrazone, and thus inhibits gneration of pyridoxal phosphate.* Isoniazid also combines with pyridoxal phosphate to interfere with its coenzyme function. Due to formation of hydrazones, the renal excretion of pyridoxine compounds is increased.* Thus, isoniazid therapy produces a pyridoxine deficiency state.